OCP protects against all EXCEPT:
1. Hepatic adenoma
2. Fibroadenoma breast
3. Carcinoma ovary
4. Uterine malignancy

Correct answer: 1. Hepatic adenoma

Explanation: Ans. A i.e. Hepatic adenoma OCP's administration may result in hepatic adenoma. Oral contraceptive pills Protects against: - Uterine Ca, - Ovarian Ca, - RA, - Endometriosis etc.